Which of the following is not seen in obstructive jaundice
1. Dark color stools
2. Pruritis
3. Raised ALP levels
4. Elevated bilirubin

Correct answer: 1. Dark color stools

Explanation: Obstructive jaundice has clay colored stools.